All of the following are true about pseudopancreatic cyst of pancreas except
1. Common after acute pancreatitis
2. Presents as an abdominal mass
3. Serum amylase is increased
4. Most common site is in head of pancreas

Correct answer: 4. Most common site is in head of pancreas

Explanation: Pseudopancreatic cyst A chronic collection of pancreatic fluid surrounded by a nonepithelized wall of granulation tissue and fibrosis Pseudocyst accounts 75% of cystic lesions of the pancreas Most common complication of chronic pancreatitis Located anywhere from the mediastinum to the scrotum Found most often in the lesser sac or anterior pararenal space Traumatic pseudocysts tend to occur anterior to the body of the gland Chronic pancreatitis pseudocyst are commonly located within the substance of the gland Incidence of pseudocyst :, Acute pancreatitis (10-20%) of patients. Chronic pancreatitis (20-40%) of patients Multiple in 17% cases Alcohol is the most common cause of pancreatitis related pseudocyst Ref: Sabiston 20th edition Pgno :1531